Incubation period of salmonella typhi -
1. 2-5 days
2. 3-21 days
3. 14-25 days
4. 0-60 days

Correct answer: 2. 3-21 days

Explanation: ‘The incubation period for S. Typhi averages 10–14 days but ranges from 3 to 21 days, with the duration likely reflecting the inoculum size and the host’s health and immune status.’